Which among the following is the shortest peptide?
1. Angiotensin-III
2. Vasopressin
3. Angiotensin-II
4. Angiotensin-I

Correct answer: 1. Angiotensin-III

Explanation: Angiotensinogen is a 452-amino-acid-long protein, which is produced by the liver. Angiotensin I, comprising the first 10 amino acids of angiotensinogen, is produced by cleavage of a leucine-valine bond by renin. The 10-amino-acid angiotensin I is completely inactive but is subsequently converted to the eight-amino-acid peptide hormone, angiotensin II. This reaction is catalyzed by angiotensin-converting enzyme (ACE). Angiotensin II can also be converted to a seven-amino-acid angiotensin III. Vasopressin or AVP is a nonapeptide. Ref: Lorenzo A.J. (2012). Chapter 18. The Urinary System. In L.W. Janson, M.E. Tischler (Eds), The Big Picture: Medical Biochemistry.